Heberdens nodes are the clinical manifestations seen in -
1. Osteoarthritis
2. Rheumatoid arthritis
3. Ankylosing spondylitis
4. Reactive arthritis

Correct answer: 1. Osteoarthritis

Explanation: Ans. is 'a' i.e., Osteoarthritis Joints involved in Osteoarthritis* OA affects certain joints, yet spares others.* Commonly affected joint include Hip, knee, cervical & lumbosacral spine, and first metatarsophalangeal joint. In Hands, the distal interphalangeal joints (DIP), proximal interphalangeal joints (PIP) and first carpo metacarpal joint (base of thumb) are involved while sparing metacarpophalangeal (MCP) joints. Shoulder joint may be affected but uncommonly.* Usually spared joints are the wrist, elbow, metacarpophlangealand ankle. This may simply reflect the fact that some joints are more prone to predisposing abnormalities than others.In osteoarthritis of handi) Distalinterphalangeal jointHeberderis node.ii) Proximalinterphalangeal jointBouchard's node